Trendelenburg's sign is positive due to injury to which of the following nerves?
1. Superior gluteal nerve
2. Inferior gluteal nerve
3. Femoral nerve
4. Pudendal nerve

Correct answer: 1. Superior gluteal nerve

Explanation: Trendelenburg sign is positive when there is paralysis of hip abductors.
Abductors- Gluteus medius and gluteus minimus.
Accessory hip abductors- Tensor fascia lata, Sartorius
Superior gluteal nerve supplies the hip abductors.